Barberio's test uses which of the following -
1. Picric acid
2. Acetic acid
3. Hydrochloric acid
4. Sulfuric acid

Correct answer: 1. Picric acid

Explanation: Ref:The essential of forensic medicine and toxicology Dr.K.S NARAYAN REDDY 32nd edition pg no 415 Barberio's test :a saturated aqueous or alcoholic solution of picric acid when added to the spermatic fluid produces yrllow needle shaped rhombic crystal of spermine picrate reaction probably depens on the presence of prostatic secretion